Allopurinol works on the basis of :
1. Decreased excretion of uric acid
2. Decreased metabolism of uric acid
3. Increased excretion of uric acid
4. Decreased synthesis of uric acid

Correct answer: 4. Decreased synthesis of uric acid